Which of the following factors does not influence mandibular movements?
1. TMJ
2. Guiding influence of contacting teeth
3. Muscles and ligaments
4. None of the above

Correct answer: 4. None of the above

Explanation: The condyles and teeth modify the mandibular movements, that are initiated by neuromuscular system of the patient. Therefore all three, TMJ, muscles and contacting surface of teeth influence mandibular movements.